Which continues to grow in the lifetime –
1. Cornea
2. Iris
3. Lens
4. Retina

Correct answer: 3. Lens

Explanation: "The lens actually continues to grow throughout our lifetime, so older people have thicker lenses". — James Foley